GLUT responsible for secretion of insulin from beta cells of pancreas:
1. GLUT-4
2. GLUT-2
3. GLUT-3
4. GLUT-1

Correct answer: 2. GLUT-2

Explanation: option 2 : GLUT-2 GLUT-2 Present in the pancreas, intestine, and liver Active in the fed state. Responsible for the secretion of insulin from beta cells of the pancreas. Once insulin is released in blood, it will make GLUT-4 active. GLUT-4 is present in peripheral tissues (skeletal muscles, cardiac muscles, adipose tissues) through which glucose enters the peripheral tissues and this way blood glucose is | leading to hypoglycemic action of insulin.